Cold abscess is related to
1. Periapical pathology
2. Mycobacterium tuberculosis
3. Streptococcus viridans
4. None of the above

Correct answer: 2. Mycobacterium tuberculosis